All off the following are given global prominence in the VISION 2020 goals, except –
1. Refractive errors
2. Cataract
3. Trachoma
4. Glaucoma

Correct answer: 4. Glaucoma

Explanation: WHO has identified following five diseases for global elimination: -


Trachoma blindness and transmission
Cataract blindness
Onchocerciasis
Avoidable causes of childhood blindness
Refractive errors and low vision